All of the following may be present in Duane's retraction syndrome except:
1. Limitation of abduction
2. Narrowing of palpebral aperture in abduction
3. Suppression
4. Head turn

Correct answer: 2. Narrowing of palpebral aperture in abduction

Explanation: Ans. Narrowing of palpebral aperture in abduction